Most common twin after assisted reproduction:
1. Monozygotic
2. Acardiac twin
3. Dizygotic twin
4. Conjoined twin

Correct answer: 3. Dizygotic twin

Explanation: Ans. c. Dizygotic twinRef: Williams Obstetrics 24th Ed; Page No-274Dizygotic twins are most common.Identifiable risk factors include by race, geography, family history, or ovulation induction.Risk of twinning is up to 10% with clomiphene citrate and up to 30% with human menopausal gonadotropin.Monozygotic twins have no identifiable risk factors.MULTIPLE PREGANCY FLOW-CHART